Inracellular concentration of K+ is
1. 5.5meq/L
2. 15meq/L
3. 28meq/L
4. 150meq/L

Correct answer: 4. 150meq/L

Explanation: Ans. is 'd' i.e., 150 meq/L o Intracellular K+ concentration - 150 meq/Lo Extracellular K+ concentration - 4.5 - 5 meq/LComponentExtracellular fluid (ECF) (meq/1)Intracellular fluid (ICF) (meq/l)Na+K+C1-HCO3-Mg+2Ca+2PO4-21425.5103281[?]22[?]5414150410580 0001 75Protein (organic anion)5 (2g%)40 (16g %)